Selective medium for Gonococci is
1. Thayer - main medium
2. LJ medium
3. DCA medium
4. Macconkey's medium

Correct answer: 1. Thayer - main medium

Explanation: Selective media for gonococci is Thayer - Main media. It contains vancomycin, colistin and nystatin. These antimicrobials will suppress the growth of other organisms which inhibits the growth of Meningococci. Reference: Textbook of Microbiology; Anathanarayan and panicker's; 10th edition; Page no: 231